Cortical blindness
1. Normal pupillary light reflexes with complete visual loss
2. Increased pupillary light reflexes with complete visual loss
3. Normal pupillary light reflex with partial loss of sight
4. Increased pupillary light reflexes with partial loss of sight

Correct answer: 1. Normal pupillary light reflexes with complete visual loss

Explanation: A. i.e. (Normal pupillary light reflexes with complete visual loss) (306 - Khurana 4th)CORTICAL BLINDNESS* Most common cause is bilateral occipital lobe infarction* Unilateral infarction leads to contralateral homonymous congruous hemianopiaClinical features* Vision and visual fields are markedly decreased* Sparing of the macula with preservation of central vision due to dual blood supply*** Complete visual loss with no light perception.* Pupillary responses are normal** (Pupillary light reflex)* ANTON- SYNDROME i.e. denial of blindness by the patients who obviously cannot see* Riddoch - phenomenon - i.e. ability to perceive kinetic but not static targets